Incubation period of gonococcal ophthalmia neonatorum is:
1. 24 hours
2. 5-7 days
3. 7-10 days
4. None of the above

Correct answer: 4. None of the above

Explanation: Ans. None of the above